Correlation of 1.1 means?
1. Computational error
2. Positive strong association
3. Weak association
4. Mild association

Correct answer: 1. Computational error